Which of the following is an example of antisialogogues used to control moisture during orthodontic bonding?
1. Epinephrine
2. Betamethasone dipropionate
3. Banthine
4. Paracetamol

Correct answer: 3. Banthine